Which of the following is not a test for integrity of 9th and 10th nerve -
1. Position of uvula
2. Palate symmetry
3. Taste
4. Tongue Protusion

Correct answer: 4. Tongue Protusion

Explanation: Answer- D. Tongue ProtusionProtusion of the tongue is used for the assessment of the twelth cranial nerve.